Not true about aztreonam ?
1. f3-lactarn
2. Monobactarn
3. Active against pseudomonas
4. Shows cross reactivity with other penicillins

Correct answer: 4. Shows cross reactivity with other penicillins

Explanation: Ans. is 'd' i.e., Shows cross reactivity with other penicillins Aztreonam It belongs to monobactams group of 13-lactam antibiotics. It is active against gram negative organisms including pseudomonas, but has no activity against gram positive organisms or anaerobes fi-lactam antibiotic with aminoglycosides spectrum. It is the only fi-lactam antibiotic that lack cross-reactivity with other P-lactam antibiotics, permiting its used in patients allergic to penicillins or cephalosporins.